Which of the following is a squamous cell carcinoma marker?
1. Vimentin
2. Dermin
3. Cytokeratin
4. Glial fibrillary acid protein

Correct answer: 3. Cytokeratin

Explanation: The presence of cytokeratins detected by immunohistochemistry, points to an epithelial origin (Carcinoma) where as dermin is specific for neoplasm of muscle cell origin.